Bed of tonsil is formed by-
1. Superior constrictor
2. Middle constrictor
3. Inferior constrictor
4. Platysma

Correct answer: 1. Superior constrictor

Explanation: Ans. A. Superior constrictorThe tonsillar bed-a. The lateral or deep surface of the tonsil spreads downwards, upwards and forwards.b. Inferiorly, it invades the dorsum of the tongue, superiorly, the soft palate, and, anteriorly, it may extend for some distance under the palatoglossal arch.c. This deep, lateral aspect is covered by a layer of fibrous tissue, the tonsillar hemi capsule.d. The latter is separable with ease for most of its extent from the underlying muscular wall of the pharynx, which is formed here by the superior constrictor, and sometimes by the anterior fibres of palatopharyngeus, with styloglossus on its lateral side.e. Antero inferiorly, the hemi capsule adheres to the side of the tongue and to palatoglossus and palatopharyngeus. In this region, the tonsillar artery, a branch of the facial artery, pierces the superior constrictor to enter the tonsil, accompanied by venae comitantes.f. An important and sometimes large vein, the external palatine or para tonsillar vein, descends from the soft palate lateral to the tonsillar hemi capsule before piercing the pharyngeal wall. Haemorrhage from this vessel from the upper angle of the tonsillar fossa may complicate tonsillectomy.g. The muscular wall of the tonsillar fossa separates the tonsil from the ascending palatine artery, and, occasionally, from the tortuous facial artery itself, which may lie near the pharyngeal wall at the lower tonsillar level.h. The glossopharyngeal nerve lies immediately lateral to the muscular wall of the tonsillar fossa: it is at risk if the wall is pierced, and is commonly temporarily affected by oedema following tonsillectomy.i. The internal carotid artery lies approximately 25 mm behind and lateral to the tonsil.j. In some individuals the styloid process may be elongated and deviate towards the tonsillar bed.